True statement is:
1. Gastric phase accounts for 80% of gastric secretion
2. Enterochromaffin like cells in gastric mucosa secretes somatostatin
3. Trefoil peptides prevents erosion of gastric mucosa by gastric acid
4. Daily gastric secretion is approximately 1.0 L

Correct answer: 3. Trefoil peptides prevents erosion of gastric mucosa by gastric acid

Explanation: Phases of gastric secretion: Cephalic phase: approx. 30% of total gastric secretion Gastric: 60% Intestinal: 10% Enterochromaffin like cells in gastric mucosa secretes histamine. The surface cells of gastric mucosa secrete primarily mucus and bicarbonate to protect the stomach from digesting itself, as well as substances known as trefoil peptides that stabilize the mucus bicarbonate layer. Daily secretions of GIT juices: Saliva secretion range: 1.0-1.5 L/day Gastric secretion 1.5-2.5 L/day Pancreatic secretion: 1.0-1.5 L.day Bile: 0.5 -1.0 L/day